Cardiac septum develops by
1. 5-8 weeks
2. 9-12 weeks
3. 12-16 weeks
4. 16-18 weeks

Correct answer: 1. 5-8 weeks

Explanation: Cardiac septum developed by 5-8 weeks . Ref - sciencedirect.com